All of the following can be used for root biomodification except:
1. Chlorhexidine
2. Citric acid
3. Tetracycline
4. HCL

Correct answer: 1. Chlorhexidine